Muscles majorly involved in tight grip of hand are?
1. Short flexors
2. Opponens pollicis
3. Long flexors
4. Long extensors

Correct answer: 3. Long flexors

Explanation: ANSWER: (C) Long flexorsREF: Gray's anatomy 39* ed page 931,932, Anatomy of human movement: structure and function 5th edition page 120See table of muscles of hand in Anatomy 2012 Session 2, December 2010, 2007A fully opposable thumb gives the human hand its unique power/tight grip and precision grip.POWER GRIP: In power grip the fingers are flexed at MCP, PIP and DIP joints.Role of joints, muscles and nerves in power gripJointActionMuscle NerveDIPFlexionFlexor digitorum profundus(long flexor)ExtrinsicMedial part=ulnarLateral part= medianPIPFlexionFlexor digitorum superfkialis(long flexor)ExtrinsicMedianMCPFlexionLumbricals andTwo long flexorsIntrinsicextrinsicRadial lumbricals (1,2) = median nerve,Uinar lumbricals (3,4) = ulnar nerve1st MCPFlexionFlexor pollicis longusThenar/intrinsic thumb musclesExtrinsicintrinsicMedianWRISTExtensionExtensor carpi radialis longus/brevis Extensor carpi ulnarisExtrinsicradialPRECISION GRIP: It is used for doing fine work like holding a pen and requires movements of thumb like opposition and adduction. It uses around 25% the power of power grip. The muscles of pinch grip can be divided into lateral, medial and intermediate subgroups. The lateral subgroup (opposition muscles) moves the first metacarpal into palmar abduction. Muscles of the medial subgroup (abductor pollicis brevis and first dorsal interosseous) produce an approach of the first metacarpal towards the palm. Since they act with the lateral group they have a strong controlling effect on the position and rotation of the first metacarpal. The intermediate subgroup consists simply of flexor pollicis longus, which flexes the interphalangeal or metacarpophalangeal joint